Least toxic organiophosphorus compound is :
1. DDT
2. Paris green
3. Malathion
4. Parathion

Correct answer: 3. Malathion